Treatment for DVT -
1. Unfractionated heparin
2. Limb elevation
3. Surgery
4. Duplex ultrasound

Correct answer: 1. Unfractionated heparin

Explanation: Ans. is 'a' i.e.. Unfractionated heparin